Which is not visualised on posterior rhinoscopy-
1. Eustachian tube
2. Inferior meatus
3. Middle meatus
4. Superior concha

Correct answer: 2. Inferior meatus